Sympathetic stimulation on the bronchus causes
1. Bronchial dilatation
2. Bronchial constriction
3. Increased secretion of glands into bronchi
4. No effect

Correct answer: 1. Bronchial dilatation

Explanation: (A) Bronchial dilatation